A 58 year old woman has been diagnosed with locally advanced breast cancer and has been recommended for chemotherapy. She has five years history of myocardial infarction and congestive heart failure. Which antinoeplastic drug should be best avoided -
1. Anthracycline
2. Alkylating agent
3. Platinum compound
4. Bisphosphonates

Correct answer: 1. Anthracycline

Explanation: Ans. is 'a' i.e., Anthracycline o The major toxicity of anthracyclines is potentially irreversible cumulative dose related toxicity. o They may causes arrhythmias and cardiomyopathy. Because of their carditoxicity these drugs should be avoided in the patient mentioned in the question.